The term "Secular Trend" implies
1. Being liberal minded in diagnosing
2. Cold professional attitude
3. Changes in occurrence over a long period of time
4. Migration from rural areas

Correct answer: 3. Changes in occurrence over a long period of time